Most common cause of mitral stenosis is:
1. Rheumatic heart disease
2. Infective-endocarditis
3. Diabetes mellitus
4. Congenital

Correct answer: 1. Rheumatic heart disease

Explanation: The most frequent causes of the major functional valvular lesions are: Aortic stenosis: calcification and sclerosis of anatomically normal or congenitally bicuspid aortic valves Aortic insufficiency: dilation of the ascending aorta, often secondary to hypertension and/or aging Mitral stenosis: rheumatic heart disease Mitral insufficiency: myxomatous degeneration (mitral valve prolapse)